Which hormone increases with age ?
1. GI
2. Prolactin
3. FSH
4. Insulin

Correct answer: 3. FSH

Explanation: Ans. is 'c' i.e., FSHIncreasing age affects the hormonal secretion of body.